A patient is experiencing which type of incontinence if she experiences leaking urine when she coughs, sneezes, or lifts heavy objects?
1. Overflow
2. Reflex
3. Stress
4. Urge

Correct answer: 3. Stress

Explanation: Stress incontinence is an involuntary loss of a small amount of urine due to sudden increased intra-abdominal pressure, such as with coughing or sneezing.